Socratic of education consists of all except -
1. Lecture
2. Group discussion
3. Seminar
4. Panel discussion

Correct answer: 1. Lecture

Explanation: Ans. is 'a' i.e., Lecture Lecture is didactic method (one-way communication).